The role of human placental lactogen is :
1. Stimulate milk production
2. Fetal breast development
3. Growth of fetus
4. Endocrine regulation

Correct answer: 3. Growth of fetus

Explanation: Functions : a) Provide fetal nutrition by antagonizing the action of insulin in maternal circulation, breakdown of fats and proteins and transport of fatty acids and amino acids from maternal to feta circulation. b) Potent angiogenic, helps develop fetal vasculature. c) Promotes growth of breast for lactation. REF : OP-GHAI 9th edition